During a routine physical examination a 65-year-old male patient is tested for ease and flexibility of the movements of his lumbar region. Which of the following movements is most characteristic of the intervertebral joints in the lumbar region?
1. Circumduction
2. Lateral flexion
3. Abduction
4. Adduction

Correct answer: 2. Lateral flexion

Explanation: Lateral flexion is the best answer because other movements of the lumbar portion of the vertebral column are very limited due to the orientation of the articular facets.